Heat labile immunoglobulin-
1. IgA
2. IgG
3. IgE
4. IgM

Correct answer: 3. IgE

Explanation: Option 1, 2, 3, 4 All Abs are heat stable (Heat stability 56oC) except IgE (heat labile). IgE exhibits unique property of heatlability (inactivated at 56degC in one hour)